The requirement of potassium in a child is ?
1. 1-2 mEq/kg
2. 4-7 mEq/kg
3. 10-12 mEq/kg
4. 13-14 mEq/kg

Correct answer: 1. 1-2 mEq/kg

Explanation: Ans. is 'a' i.e., 1-2 Meq/kg The recommended daily dietary intake of potassium in a child is 1 - 2 meq/kg `Dietary consumption varies considerable even though 1- 2 meq/kg is the recommended intake'